Anaesthetic agent used in ECT is:
1. Ketamine
2. Thiopentone
3. Propofol
4. Methohexital

Correct answer: 4. Methohexital

Explanation: Methohexital is most commonly used as an anesthetic agent because of its shorter duration of action and lower association with postictal arrhythmias.